Weight gain is seen in all, EXCEPT:
1. Phaeochromocytoma
2. Insulinoma
3. Myxoedema
4. Cushing's disease

Correct answer: 1. Phaeochromocytoma

Explanation: Ans. is 'a' Pheochromocytoma Pheochromocytoma does not cause weight gain , it causes weight lossEndocrine and metabolic causes of weight lossHyperthyroidismDiabetes MellitusPheochromocytomaAdrenal Insufficiency